Which of the following molecules delivers iron to tissues by binding to specific cell surface receptors:
1. Ferritin
2. Ferredoxin
3. Hemosiderin
4. Transferrin

Correct answer: 4. Transferrin

Explanation: Transferrin is a b1-globulin synthesized in the liver and is the transporter of iron. Transport of Iron For transport, ferrous iron needs to be oxidised to ferric iron. This is done by hephaestin, a membrane-associated ferroxidase protein. In the blood, ceruloplasmin, a copper-containing ferroxidase oxidises any ferrous iron to ferric iron Transferrin can carry 2 molecules of ferric ion. (apo transferrin + 2 Fe3+ = Holo-transferrin) Transferrin delivers the iron to different tissue cells by recpetor mediated endocytosis. The iron can be incorporated into various iron-containing proteins or stored in ferritin. Additional edge Iron storage form: Ferritin and Haemosiderin (Fe3+). Regulate iron transport in circulation: Hepcidin (Fe2+). The presence of carbohydrate-deficient transferrin (CDT), which can be measured by isoelectric focusing (IEF), is used as a biomarker of chronic alcoholism.